Physiological locking is -
1. Internal rotation of femur over stabilized tibia
2. Internal rotation of tibia over stabilized femur
3. External rotation of tibia over stabilized tibia
4. External rotation of femur over stabilized tibia

Correct answer: 1. Internal rotation of femur over stabilized tibia

Explanation: During last stages of extension, femur rotates medially on tibia due to quadriceps femoris to lock the knee joint.